Parvovirus B19 does not cause -
1. Roseola infantum
2. Aplastic anemia in sickle cell disease
3. Fetal hydrops
4. All of the above

Correct answer: 1. Roseola infantum